Dihydrouridine is found in
1. DNA
2. mRNA
3. tRNA
4. rRNA

Correct answer: 3. tRNA

Explanation: Dihydrouridine (abbreviated as D, DHU, or UH2) is a pyrimidine which is the result of adding two hydrogen atoms to a uridine, making it a fully saturated pyrimidine ring with no remaining double bonds. D is found in tRNA and rRNA molecules as a nucleoside; the corresponding nucleobase is 5,6-dihydrouracil Ref- Sathyanarayana 4/e